Centchroman is not used in
1. To prevent pregnancy
2. to prevent dysfunctional uterine bleeding
3. Poly cystic ovarian syndrome
4. None of the above

Correct answer: 3. Poly cystic ovarian syndrome

Explanation: Contraindication of centchroman "are"

PCOS.
Cervical hyperplasia.